Bone dysplasia is invariably seen in -
1. Hyperparathyroidism
2. Osteosarcoma
3. Developmental defect
4. Osteomalacia

Correct answer: 3. Developmental defect

Explanation: Bone dysplasia is invariably seen in developmental disorders like dysplasias with predominantly physeal and metaphyseal changes(eg.hereditary multiple exostosis, achondroplasia), predominantly epiphyseal changes (eg.Trevor's ds, stippled epiphysis)and predominantly metaphyseal and diaphyseal changes (eg. Pyle's ds, marble bones). REF:Apley's system of orthopaedics- 9th edn- pg no158.